Maxillary sinus is described as a four sided pyramid containing base, apex, roof and floor. The apex of maxillary sinus extends
1. Laterally into zygomatic process of maxilla
2. Medially into zygomatic process of maxilla
3. Laterally into lateral nasal wall
4. Superiorly into floor of orbit

Correct answer: 1. Laterally into zygomatic process of maxilla